Syndrome associated with anosmia is:
1. Goldenhar syndrome
2. Kallmann syndrome
3. Prader Willi syndrome
4. All of the above

Correct answer: 2. Kallmann syndrome

Explanation: The most well-known type of congenital anosmia is Kallmann syndrome, an X-linked disorder. Caused by mutation in the KAL gene, Kallmann syndrome is characterized by hypogonadotropic hypogonadism, which results when olfactory receptor neurons and neurons synthesizing gonadotropin-releasing hormone fail to migrate from the olfactory placode.